Hydrogen peroxide is used in all of the following chemical tests for blood except:
1. Benzedine test
2. Phenophthalein test
3. Orthotoluidine test
4. Teichmann's test

Correct answer: 4. Teichmann's test

Explanation: D i.e. Teichman's test